Increased gamma efferent discharge seen in all EXCEPT:
1. Anxiety
2. Jendrassik's maneuver
3. Skin stimulation
4. Shallow rapid breathing

Correct answer: 4. Shallow rapid breathing

Explanation: Shallow rapid breathing does not increases gamma efferent discharge. Anxious patients may sometimes exhibit hyperactive tendon reflexes. Stimulation of the skin, by noxious agents, increases g-efferent discharge to ipsilateral flexor muscle spindles while decreasing that to extensors; and produces opposite pattern in the opposite limb. Jendrassik's maneuver: When tendon jerks are not so prominent, the patient is asked to hook together his fingers and try to pull the hands apart, or asked to clench the teeth. This maneuver makes the tendon jerks prominent. Mechanism - Afferent impulses arising from hands (while hooking) increase the g-motor neuron discharge, which makes the muscle spindle more excitable.